Which of the following wiring is indicated in case of Symphysis fracture of mandible:
1. Ivy Eyelet method.
2. Gilmer's wiring.
3. Risdon's wiring.
4. None.

Correct answer: 3. Risdon's wiring.